What do you understand by the term secular trend ?
1. Long term changes
2. Short long term changes
3. Seasonal changes
4. Periodical changes

Correct answer: 1. Long term changes

Explanation: Ans. is 'a' i.e., Long term changes